All of the following are true regarding head circumference (HC) except?
1. Normal head circumference in newborn is 33-35 cm
2. It indicates brain growth
3. ↑ in head circumference in 1-3 months is 1cm/month
4. ↑ in head circumference in 7-12 months is 0.5cm/month

Correct answer: 3. ↑ in head circumference in 1-3 months is 1cm/month

Explanation: Age


↑ in head circumference






1-3 months
4-6 months
7-12 months
1-3 years


2cm/month
1cm/month
0.5cm/month
0.2cm/month